Time for formation of mature sperm-
1. 30-35 days
2. 40-45 days
3. 50-55 day
4. 70-75 days

Correct answer: 4. 70-75 days

Explanation: Ans. is 'd' i.e., 70-75 days * In humans, it takes an average of 74 days to form a mature sperm from primitive germ cells.